In chronic myeloid leukemia CML, serum vitamin B12 level is:
1. Slightly decreased
2. Normal
3. Markedly decreased
4. Increased

Correct answer: 4. Increased

Explanation: Biochemical abnormalities in CML include a low leukocyte alkaline phosphatase score and high levels of vitamin B12, uric acid, lactic dehydrogenase, and lysozyme.